The CNS tumor present with calcification:
1. Oligodendroglioma
2. Astrocytoma
3. Medulloblastoma
4. Pheochromocytoma

Correct answer: 1. Oligodendroglioma

Explanation: Oligodendroglioma is associated with calcification. BT associated with calcification (COM):CraniopharyngiomaQ (most) > ODGQ (90%) > MeningiomaQ (20-25%)